Wof are components of Waldeyer's ring
1. Lingual tonsil
2. Nasopharyngeal tonsil
3. Tubal tonsil
4. All of the above

Correct answer: 4. All of the above

Explanation: WALDEYER'S RING Scattered throughout the pharynx in its subepithelial layer is the lymphoid tissue which is aggregated at places to form masses, collectively called Waldeyer's ring. The masses are: 1. Nasopharyngeal tonsil or the adenoids 2. Palatine tonsils or simply the tonsils 3. Lingual tonsil 4. Tubal tonsils (in fossa of Rosenmuller) 5. Lateral pharyngeal bands 6. Nodules (in posterior pharyngeal wall). Ref:- Dhingra; pg num:-238,239